Which of the following is not derivative of mesoderm?
1. Ureter
2. Gall bladder
3. Uterus
4. Epididymis

Correct answer: 2. Gall bladder

Explanation: B i.e. Gall bladder